Reticulocytosis is not a feature of
1. Paroxysmal nocturnal hemoglobinuria
2. Following acute bleeding
3. Hereditary spherocytosis
4. Anemia in CRF

Correct answer: 4. Anemia in CRF

Explanation: Ref Harrison 19 th ed pg 630 Progressive CKD is usually associated with a moderate to severe hypoproliferative anemia; the level of the anemia corre- lates with the stage of CKD. Red cells are typically normocytic and normochromic, and reticulocytes are decreased.